Commonest degenerative joint disease in-
1. Gout
2. Osteoporosis
3. Rheumatoid arthritis
4. Osteo arthritis

Correct answer: 4. Osteo arthritis